Common to both glycolysis and pentose phosphate pathway is:
1. Glucose 6 phosphate
2. NAD
3. ATP
4. All of the above

Correct answer: 1. Glucose 6 phosphate

Explanation: Although glucose 6-phosphate is common to both pathways, the pentose phosphate pathway is markedly different from glycolysis. Oxidation utilizes NADP rather than NAD, and CO2, which is not produced in glycolysis, is a characteristic product. No ATP is generated in the pentose phosphate pathway, whereas it is a major product of glycolysis Ref: Harper 28th edition, chapter 21.